All of the following statements are true regarding warfarin toxicity (skin necrosis) except :
1. Skin necrosis occurs during initiation of therapy
2. Most common sites are toes and tips of fingers
3. Decreased quantity of protein C
4. Decreased incidence of adverse effects if therapy with LMWH is started.

Correct answer: 2. Most common sites are toes and tips of fingers